Axillary artery is divided into 3 parts. Which of the following muscle divides axillary artery into 3 parts?
1. Teres major
2. Teres minor
3. Pectoralis major
4. Pectoralis minor

Correct answer: 4. Pectoralis minor

Explanation: Axillary artery is divided into 3 parts by pectoralis minor muscle. Axillary artery extends from the outer border of the first rib to inferior border of teres major muscle where it becomes the brachial artery. Branches of the axillary artery: First part: Superior thoracic artery Second part: Thoracoacromial artery Lateral thoracic artery Third part: Subscapular artery Anterior humeral circumflex artery Posterior humeral circumflex artery